All can be incinerated except -
1. Cytotoxic waste
2. Sharps
3. Anatomical waste
4. Infectous waste

Correct answer: 2. Sharps

Explanation: - the sharps including needles and scalpel comes under Category no. 4 and is disposed in blue plastic bag. - it should be disinfected by chemical treatment, autoclaving, microwaving and mutilation shredding. Reference : Park's textbook of preventive and social medicine, 23rd edition, pg no:793